Which of the following viruses does not causes pneumonia?
1. Mumps
2. Measles
3. RSV
4. Influenza

Correct answer: 1. Mumps

Explanation: Most common viruses associated with pneumonia are: Influenza RSV Measles Chickenpox Hantavirus Mumps does not cause pneumonia. Complications of mumps includes meningitis, orchitis, pancreatitis, oophoritis, thyroiditis, neuritis, hepatitis, myocarditis, thrombocytopenia, migratory arthralgia, nephritis and endocardial fibroelastosis.